Which among the following is vaccine for cholera?
1. PPV23
2. Dukoral
3. Ty 21 a vaccine
4. JE-MB Nakayama

Correct answer: 2. Dukoral

Explanation: Ans. (b) DukoralRef: Nelson 18th ed chapter 173, http://wwwnc.cdc/gov/ eid/article/17/11 11-0822 article* Dukoral is indicated for active immunization against disease caused by Vibrio choleraes ero group Ol in adults and children from 2 years of age who will be visiting endemic/epidemic areas* The standard primary course of vaccination with Dukoral against cholera consists of 2 doses for adults and children from 6 years of age. Children 2 to below 6 years of age should receive 3 doses. Doses are to be administered at intervals of at least one week. If more than 6 weeks have elapsed between doses, the primary immunization course should be re-started.* Immunization should be completed at least 1 week prior to potential exposure to V. cholerae Ol.